CD marker specific for myeloid series aEUR'
1. CD34
2. CD45
3. CD99
4. CD117

Correct answer: 4. CD117

Explanation: CD 117 Immunoloyical markers commonly used to detect myeloid lineage: - CD13Q CD33Q CD10Q CDI5Q CD4Q CD117Q cMPO (Lineage specific) "In the myeloid lineage the most useful antigens for recognizing myeloblasts include CD13, CD33, CD117 and cMPO. - Other antigens such as I/b and CD16 are less useful because their expressions vary highly among the AML's and they may appear or disappear at relapse and therefore may not be useful for follow up purpose."- (Flow cytometry in hematopathology by Doyen Nguyen MD Lawrence W. Diamond., MD, Raul C. Bryaland). Immunological markers commonly used in classification of Acute leukemia